Ceruplasmin contains-
1. Zn
2. Cu
3. Se
4. Fe

Correct answer: 2. Cu

Explanation: Ceruloplasmin is the major copper-carrying protein in the blood, and in addition plays a role in iron metabolism.